Which one of the following antibacterial antibiotics are not recommend for lactating mothers :
1. Cephaslosporins
2. Anti tubercular drugs
3. Quinolones
4. Aminoglycoside

Correct answer: 3. Quinolones

Explanation: Ciprofloxacin (aFCQ) should be avoided or to be given with caution.